Kiesselbach's plexus is present at
1. Medial wall of nasopharynx
2. Lateral wall of nasal cavity
3. Anteroinferior part of nasal septum
4. Posterior part of the nasal cavity

Correct answer: 3. Anteroinferior part of nasal septum

Explanation: The anteroinferior part or vestibule of the septum contains anastomoses between the septal ramus of the superior labial branch of the facial artery, branch of sphenopalatine artery, and of anterior ethmoidal artery. These form a large capillary network called the Kiesselbach's plexus.This is a common site of bleeding from the nose or epistaxis and is known as Little's area. Ref: BD Chaurasia's HUMAN ANATOMY, Volume 3, 6th edition 240